Which one of the following is Autosomal recessive -
1. Homocysteinuria
2. G - 6 PD deficiency
3. Mytonic dystrophy
4. Otospongiosis

Correct answer: 1. Homocysteinuria